Most common type of lupus nephritis-
1. Memberanous
2. Mesangial
3. Focal proliferative
4. Diffuse proliferative

Correct answer: 4. Diffuse proliferative

Explanation: Diffuse proliferative glomerulonephritis (DPGN) is a term used to describe a distinct histologic form of glomerulonephritis common to various types of systemic inflammatory diseases, including autoimmune disorders (eg, systemic lupus erythematosus ), vasculitis syndromes (eg, granulomatosis with polyangiitis), and infectious processes. In DPGN, more than 50% of the glomeruli (diffuse) show an increase in mesangial, epithelial, endothelial (proliferative), and inflammatory cells (ie, glomerulonephritis). (Increased cellularity is demonstrated in the image below